Which of the following is an intra-articular tendon?
1. Sartorius
2. Semitendinosus
3. Anconeus
4. Popliteus

Correct answer: 4. Popliteus

Explanation: The popliteus tendon is located within the capsule of the knee joint making it an intra-articular tendon. Sartorius, Semitendinosus and Anconeus are not intra-aicluar tendons.